Which one of the following is true -
1. Agar has nutrient properties
2. Chocolate medium is selective medium
3. Addition of selective substances in a solid medium is called enrichment media
4. Nutrient broth is basal medium

Correct answer: 4. Nutrient broth is basal medium